Which of the follow ing interleukin is secreted by T helper 2 cells -
1. IL 11
2. IL7
3. IL l
4. IL13

Correct answer: 4. IL13

Explanation: Ans. is 'd' i.e. IL 13 T helper -1 (TH1) secretes - 1L-2 and interferon - gT helper - 2 (TH2) secretes - IL-4, IL-5, IL-6, IL-13.